Infantile myocarditis and pericarditis is due to
1. Coxsackie A
2. Coxsackie B
3. Mumps
4. Pox virus

Correct answer: 2. Coxsackie B

Explanation: Ans. is 'b' i.e., Coxsackie B o The commonest cause of myocarditis is coxsackie B infection, which occurs any where from the age of a few hours to 7 weeks, with a peak around two weeks.